Embroyo develops from ?
1. Inner cell mass
2. Troploblasts
3. Outer cell mass
4. None of the above

Correct answer: 1. Inner cell mass

Explanation: Ans. is'a'i.e., Inner cell mass[Ref Textbook of embryology p. 24)As the morula enters the uterine cavity, uterine fluid diffuses through zona pellucida and fills small intercellular gaps between blastomeres, and morula is converted to blastocyst.Embryoblast :A group of centrally located cells of inner cell mass and later give rise to tissues of the embryo proper.